12 years male came with swelling of lower end tibia which is surrounded by rim of reactive bone. What is most likely diagnosis?
1. GCT
2. Brodie's Abscess
3. Hyper PTH
4. Osteomyelitis

Correct answer: 2. Brodie's Abscess

Explanation: * GCT - occurs around 20-40 years of age* Hyperparathyroidism - typically in a female around 30 years of age; presents with lytic lesion* Brodie's abscess - swelling in the lower end of tibia and radiological evidence of cavity surrounded by a halo of sclerosis (rim of a reactive bone) point towards brodie's abscess.